Lisch nodule is seen in
1. Sympathetic Ophthalmitis
2. Neurofibromatosis
3. Chronic iridocyclitis
4. Trachoma

Correct answer: 2. Neurofibromatosis

Explanation: (Refer: AK Khurana Comprehensive Ophthalmology, 6th edition, pg no. 309)Lisch nodules are the most common type of ocular involvement in NF-1. These nodules are melanocytic hamartomas, usually clear yellow to brown, that appear as well-defined, dome-shaped elevations projecting from the surface of the iris.